Which of the following is TRUE about 'Foramen of Winslow'?
1. It is seen between greater and lesser sac
2. Anteriorly bound by 2nd part of duodenum
3. Seen in transverse cervical ligament of uterus
4. Posteriorly bound by pouch of Douglas

Correct answer: 1. It is seen between greater and lesser sac

Explanation: The epiploic foramen of Winslow or the aditus to the lesser sac is the only communication between greater and lesser sac. It is bounded,Anteriorly by hepatoduodenal ligamentPosteriorly by inferior venacavaSuperiorly by caudate lobe of liverInferiorly by first part of duodenumRef: Last's Anatomy: Regional and Applied By Chummy S. Sinnatamby, 2011, Chapter 5.